Arsenite inhibits
1. Enolase
2. G-6-PD
3. Alpha ketoglutarate dehydrogenase
4. Hexokinase

Correct answer: 3. Alpha ketoglutarate dehydrogenase

Explanation: Alpha ketoglutarate dehydrogenase (alpha ketoglutarate to succinyl CoA) is inhibited by Arsenite. This is a non-competitive inhibition. Ref: DM VASUDEVAN TEXTBOOK OF BIOCHEMISTRY, SIXTH EDITION,PG.NO.,222.